After periodontal surgical procedure probing should be done after:
1. 1 month
2. 2months
3. 3months
4. 4months.

Correct answer: 3. 3months